Tardy ulnar nerve palsy -
1. Early onset
2. Late onset
3. Caused by shoulder dislocation
4. None

Correct answer: 2. Late onset

Explanation: Ans. is 'b' i.e., Late onsetTardy ulnar nerve palsyo Tardy ulnar nerve palsy as a late complication of the lateral condylar physis is well known, especially after the development of cubitus valgus from malunion or nonunion. Due to cubitus valgus there is chronic stretching of ulnar nerve. However, you should keep in mind that, cubitus valgus is not the only cause of tardy ulnar nerve palsy. There are many other causes.o Tardy means occuring late, i.e.. late onset ulnar nerve palsy.o Causes of tardy ulnar nerve palsy are : -i) Malunited lateral condyle humerus fracture (cubitus valgus)ii) Displaced medial epicondyle humerus fractureiii) Cubitus varus deformity (due to supracondylar fracture humerus)iv) Elbow dislocationContusions of ulnar nerveShallow ulnar grooveHypoplasia of humeral trochleaJoint deformity after prolonged arthritis of elbowClinical featureso Weakness of grip, tingling numbness of little finger,o Positive card test & ffoments sign.o Full flexion of elbow aggravates pain and paresthesia along ulnar nerve distribution.Treatmento Conservative : - Elbow extension splint to be worn at night,o Surgery : - Anterior transposition of ulnar nerve.